Rat hole is associated with which injury?
1. Bomb injury
2. Bum injury
3. Postmortem artifact
4. Bullet injury

Correct answer: 4. Bullet injury

Explanation: Ans. d. Bullet injury (Ref: Reddy 33/e p219: Parikh 6/4.43)Rat hole is associated with Bullet injury."Intermediate range shotgun wounds: At a distance of 60--90 cm, single irregular circular aperture 4 to 5 cm with irregular and lacerated edges is produced. The shots are scattered after entering the wound and cause much damage to the internal tissues. At a distance of 1.5 meters, the shot mass enters the body in one mass, producing a round defect. The margins are abraded. At a distance of 2 meters, the shot mass begins to spread. The wound of entry is irregular, with ragged margins (rat hole) about 5 cm in a diameter with a few satellite perforations at the margins of the main defect."FeatureContact ShotClose ShotNear ShotDistant ShotDefinition, Range and Discharge reaching victimIn firm (hard or actual) contact, the muzzle end is pushed hard against the skin and the all discharge from muzzle are blown into the track taken by bulletQ, producing severe disruption of deeper tissuesWhen the victim is within die range of flame. Point blank is used when the range is very close to or in near contact with skin and is with in the range of all discharge from muzzle.When the victim is within the range of gun powder but outside the range of flameWhen the victim is outside the range of all discharges of muzzle except bulletRifled firearm (Revolver, Pistol) range Shot gun range (~)In touch with skin5-8 cm (2.5-7.5 cm) Short range (1-2 meter)Up to 50 cm (60 cm)Intermediate range (2-4 metres)>50 cm (or 60 cm)Long (distant) range (>4 metres)DischargeBullet, gun powder, soot, (smoke, carbon particles), gases, flame (fire, burn, heat) with imprinted barrel marks & tearing in actual contactQBullet, gun powder, soot, gasesand bumBullet, gun powder, and+- sootOnly bullet (+- coarse particles of gun powder)Blast effectMuzzle end imprint, eversion of edges, back spatter, soiling of internal structures & pocket formation, burst (comminution) fracture of skull and crazy paving fracture of base of skullQ are all seenAbsentAbsentAbsentHeat Effect onsurface & clothsAbsentScorching of skin, singeing of hair & burning melting - ironing of cloths presentAbsentAbsentBlackening (smudging)Absent outside present inside the trackQPresent outsideQ the woundAbsent (+-)AbsentTattooingAbsent outside present insidePresent outsidePresent outsideAbsent (+-)Abrasion / Grease collarAbsent outside present insidePresentPresentPresent (skin adjacent to hole shows two zones inner grease & outer abrasion collar)Lead snow stormAbsentAbsentAbsentPresent (on X-ray) in shotgun injuryCarboxy Hb, Cherry red discolorationPresent in wound trackPresent in surrounding tissue+-+-Surrounding skin around entrance wound showsNo burning, blackening (soot), tattooing, abrasion/ grease collarBurning, blackening (soot), tattooing, abrasion / grease collar presentTattooing & abrasion / grease collar presentAbrasion (grease / dirt) collar & lead storm presentEntrance Wound SizeLargestBullet sizeSmallerSmallest due to initial stretching of skinShapeStellate (star shapedQ), triangular, cruciform (cruciateQ) or raged (irregular with crenated & scalloped edges)Circular (or rat holeQ)Circular (central big wound with smaller wounds around)Circular (wide spreadQ)NumberSingleSingleMultipleMultipleEdges (Margin)Scorched, contused, undermined or everted margins from which tears (lacerations) over skin radiating outwards from entrance hole because of expansion of gases (between scalp & skull)Inverted & well definedInvertedInverted